In the demographic cycle, the contraction of demographic gap starts in
1. Early part of II stage
2. Late part of II stage
3. Early part of III stage
4. Late part of III stage

Correct answer: 3. Early part of III stage